This elderly male came with a history of recurrent attacks of pain and swelling in the great toe in the past. This is the present x-ray of the hands. The diagnosis can be confirmed by
1. Anti CCP antibodies
2. Polarised microscopy of tissue fluid aspirate
3. Xray of lumbosacral spine
4. HLA B27

Correct answer: 2. Polarised microscopy of tissue fluid aspirate

Explanation: Radiological features in GoutSoft tissue findingsCalcific deposits in gouty tophi in 50% (only calcium urate crystals are opaque)Eccentric juxta-articular lobulated soft-tissue masses (hand, foot, ankle, elbow, knee)Bilateral olecranon bursitisAural calcificationJoint findingsPreservation of joint space initiallyAbsence of periarticular demineralizationErosion of joint margins with sclerosisCartilage destruction late in course of diseasePeriarticular swelling (in acute monarticular gout)Chondrocalcinosis (menisci, articular cartilage of knee) resulting in secondary osteoarthritisBone findings"Punched-out" lytic bone lesion +- sclerosis of margin"Mouse / rat bite" from erosion of long-standing soft-tissue tophus"Overhanging margin" (40%)Ischemic necrosis of femoral/humeral headsBone infarctionDiagnosis of gout relies on the identification of MSU crystals under a compensated polarized light microscope (CPLM) in synovial fluid aspirated from the patient's joint.